Blood pressure is defined as the product of.
1. Systolic pressure x pulse
2. Diastolic pressure x pulse rate
3. Pulse pressure x pulse rate
4. Cardiac output x peripheral resistance

Correct answer: 4. Cardiac output x peripheral resistance

Explanation: D i.e. Peripheral resistance x cardiac output: Blood pressure is defined as the product of cardiac output and peripheral resistance. Blood pressure = Cardiac output x peripheral resistance or Blood flow (Q) x resistance (R)